Rods and cones differ in all, except
1. Signal transduction
2. Light sensitivity
3. Wavelength
4. Acuity

Correct answer: 1. Signal transduction

Explanation: Our visual sensation is mediated by two types of photoreceptors, rods, and cones. Both respond to light electrically. Rods are highly light-sensitive but cones are not. Because of this sensitivity difference, rods mediate night vision and cones mediate daylight vision. While a response to a brief light flash is rather slow in rods, it is brief in cones. These rod and cone differences in their light sensitivity and the response time course arise in the differences in the reactions in the enzyme cascade to evoke light responses in these cells. This cascade (phototransduction cascade) in rods is now rather well understood at the molecular level in a quantitative way. In cones, similar cascade has been known to be present. However, details are not known yet because it was difficult to obtain purified cones in an amount large enough to study these issues biochemically.Ref: Ganong's review of medical physiology 23rd edition Page no: 192